The free gingival graft is placed on:
1. On the periosteum
2. Bone
3. Gingiva
4. Periodontal pocket

Correct answer: 1. On the periosteum